All develop from the hindgut except -
1. Ascending colon
2. Descendingcolon
3. Sigmoid colon
4. Rectum

Correct answer: 1. Ascending colon

Explanation: Ans. is 'a' i.e., Ascending colon o The gut is derived from the yolk sac, and hence is endodermai in origin.Part of gutDerivativesArteryForegutPharynxLower respiratory tractEsophagusStomachDuodenum upto the popening of the main pancreatic ductLiverPancreasCeliac trunkMidgutDuodenum distal to the opening of the main pancreatic ductSmall intestineAppendixCecumAscending colonTransverse colon upto th junction of right 2/3 and left 1/3Super mesenteric arteiyHindgutLeft 1/3 of transverse colonDescending colonSigmoid colonRectumUpper part of anal canal Inferior mesenteric artery